Na+ reabsorption is maximum in -
1. PCT
2. Loop of Henie
3. DCT
4. Collecting duct

Correct answer: 1. PCT

Explanation: Ans. is 'a' i.e., PCT